Which drug is used for topical application per vaginum -
1. Clotrimazole
2. Miconazole
3. Nystatin
4. All of the above

Correct answer: 4. All of the above

Explanation: Ans. is 'd' i.e., All of the above * Intravaginal administration is a route of administration where the substance is applied inside the vagina. Pharmacologically, it has the potential advantage to result in effects primarily in the vagina or nearby structures (such as the vaginal portion of cervix) with limited systemic adverse effects compared to other routes of administration.* Formulation methods include vaginal tablets, vaginal cream, vaginal suppository and vaginal ring.* Drugs primarily delivered by intravaginal administration include vaginally administered estrogens and progestogens (a group of hormones including progesterone), and antibacterials and antifungals to treat bacterial vaginosis and yeast infections respectively.* Medications can be used as a vaginal tablet or cream applicator or pessary. Nystatin Miconazole and clotrimazole all can be used per vaginum for candidiasis.